All of the given are active against hormone dependent lipase, EXCEPT:
1. Adrenaline
2. Insulin
3. Prostaglandin E1
4. Nicotinic acid

Correct answer: 1. Adrenaline

Explanation: The hormones that act rapidly in promoting lipolysis, ie, catecholamines (epinephrine and nor-epinephrine), do so by stimulating the activity of adenylyl cyclase. cAMP, by stimulating cAMP-dependent protein kinase, activates hormone-sensitive lipase. The antilipolytic effects of insulin, nicotinic acid, and prostaglandin E1 are accounted for by inhibition of the synthesis of cAMP at the adenylyl cyclase site, acting through a Gi protein. Insulin also stimulates phosphodiesterase and the lipase phosphatase that inactivates hormone-sensitive lipase. Ref: Botham K.M., Mayes P.A. (2011). Chapter 25. Lipid Transport & Storage. In D.A. Bender, K.M. Botham, P.A. Weil, P.J. Kennelly, R.K. Murray, V.W. Rodwell (Eds), Harper's Illustrated Biochemistry, 29e.